Most common site of osteochondritis dessicans ?
1. Lateral part of the medial femoral condyle
2. Medial part of the medial femoral condyle
3. Lateral part of the lateral femoral condyle
4. Medial part of the lateral femoral condyle

Correct answer: 1. Lateral part of the medial femoral condyle

Explanation: Ans. is 'a' i.e., Lateral part of the medial femoral condyle Joint Site of osteochondritis dessicans Knee Lateral surface of the medial femoral condyle Elbow Capitulum of humerus Hip Femoral head Ankle Talus